A 30-year-old man believes that aliens has put an implant in his body and he feels there is a pushing sensation on his aorta. Which types of hallucinations best suit his description?
1. Auditory
2. Cenesthetic
3. Gustatory
4. Visual

Correct answer: 2. Cenesthetic

Explanation: Cenesthetic hallucinations are unfounded sensations of altered states in bodily organs. Examples are, burning sensation in the brain, pushing sensation in the blood vessels, cutting sensation in the bone marrow etc.